Superior wall of middle ear is formed by
1. Tympanic membrane
2. Jugular bulb
3. Tegmen tympani
4. None

Correct answer: 3. Tegmen tympani

Explanation: Ref BDC volume3,sixth edition The relations are: FLOOR-Internal jugular vein ROOF-Tegmen tympani ANTERIOR WALL-Internal carotid artery, canal for tensor tympani, tubal opening POSTERIOR WALL-Facial canal, aditus to antrum MEDIAL WALL-Oval window, round window, pyramid, tympanic plexus, promontory LATERAL WALL-Malleus, incus,chorda tympani nerve, tympanic membrane.